Oil drop sign of nail is seen in?
1. Lichen planus
2. Dermatophytes
3. Lupus vulgaris
4. Psoriasis

Correct answer: 4. Psoriasis

Explanation: Ans. (d) PsoriasisRef: Lippincott's Primary Care Dermatology p 47, Bar an and Dawber's Disease of the Nails ad their Management by Robert Baran, David A. R. de Berker, Mark Holzberg, Luc Thomas ch-6